Which of the following is not a serotonin–norepinephrine reuptake inhibitor ?
1. Venlafaxine
2. Duloxetine
3. Milnacipran
4. Tianeptine

Correct answer: 4. Tianeptine